Muscle spindle detects -
1. Tension
2. Length
3. Proprioception
4. Pressure

Correct answer: 2. Length

Explanation: Ans. is 'b' i.e., Length Stretch reflex (through spindle)Golgi tendon reflexDetectDetect muscle lengthDetect muscle tensionStimulusPassive muscle stretchBoth passive stretch and active contraction of muscleResponseContraction of muscleRelaxation of muscleTypeMonosynaption. no intemeuron involvedBisynaptic, inhibitory intemeuron involvedAfferentType la afferent (Major)Type lb afferentEfferenta-motor neurona-motor neuronEffectActivation of a-motor neuronInhibition of a-motor neuronSituation of receptorMuscle spindle parallel to muscle fibersGolgi tendon organ in series with muscle fibers